Ondansetron acts by inhibiting which of the following receptors?
1. 5-HT1
2. 5-HT2
3. 5-HT3
4. 5-HT4

Correct answer: 3. 5-HT3

Explanation: ondasetron blocks the depolarising action of 5HT exerted through 5HT3 receptor on on vagal afferents in the git as well as in NTZ and CTZ ESSENTIALS OF MEDICAL PHARMACOLOGY SEVENTH EDITION KD TRIPATHI PG NO.668